To avoid pulpal irritation below a resistant metallic restoration, the minimum dentin thickness which should remain is:
1. 0.5mm
2. 1.5mm
3. 1.0mm
4. 2.0mm

Correct answer: 4. 2.0mm